NERST's potential of Na+ is
1. 60
2. -60
3. 90
4. -80

Correct answer: 1. 60

Explanation: NERNST potential of an ion is the potential at which there is net flow of the ion across the cell membrane..........and for sodum it's about +55mv to +60mv REF: GANONG'S REVIEW OF MEDICAL PHYSIOLOGY -23rd EDITION. Page No-7)